A 65 year female presents with impacted fracture surgical neck of humerus. Treatment of choice is:
1. Arthroplasty
2. Arm-Chest strapping
3. Triangular sling
4. Wait and watch

Correct answer: 3. Triangular sling

Explanation: C i.e. Triangular sling